Which of the following parasites abundants in muscles
1. Trichuris trichiura
2. Trichinella spiralis
3. Schisosomiasis
4. Ancylostoma necator

Correct answer: 2. Trichinella spiralis

Explanation: (Trichinella- spiralis) (163 - Paniker 6th)MODE OF INFECTION1. By Ingestiona. Eggs Ascaris, Enterobius, Trichurisb. Larva within intermediate host - Dracunculusc. Encysted larvae in muscle - Trichinella**2. By Penetration of Skin - Ancylostoma, Necator - Strongloides3. By blood Sucking Insects - Filariae4. By Inhalation of Dust Containing Eggs - Ascaris, EnterobiusTrichinella- spiralis* Cysts are develops preferentially in muscles relatively poor in glycogen* Cysts are more abundant near the sites of attachments of muscles to tendons and bones than in other parts* They are also more frequent in the superficial muscles* The deltoid being easily accessible is chosen for taking diagnostic muscle biopsies* Brachman intradermal test, Bentonite flocculation test and latex fixation test for demonstration of antibodies